Polycythemia is seen with which tumor -
1. Renal cell carcinoma
2. Endometrial carcinoma
3. Lung carcinoma
4. Fibrosarcoma

Correct answer: 1. Renal cell carcinoma

Explanation: A number of paraneoplastic syndromes due to ectopic hormone production by the renal cell carcinoma have been described. These include polycythemia(by erythropoietin), hypercalcemia(by parathyroid hormone and prostaglandins ), hypertension(by renin), effects of feminization or masculinization (by gonadotropins) and cushing's syndrome (by glucocorticoids), hepatic dysfunction, eosinophilia, leukemoid reactions, and amyloidosis. FromTextbook of pathology Harsh Mohan,6th edition, pg no:696; Pathologic basis of disease Robbins,8th edition, pg no:966